Investigation of choice for nasopharyngeal angiofibroma ?
1. X-ray
2. MRI
3. Plane-CT
4. CT- contrast

Correct answer: 4. CT- contrast

Explanation: Ans. is 'd' i.e., CT contrast Investigations of JNA Following investigations are used in JNA :? Soft tissue lateral film of nasopharynx :- shows soft tissue mass in the nasopharynx. X-rays paranasal sinus and base of skull :- findings have been explained in previous explanation. CT scan of head with contrast :- is the investigation of choice. It shows the extent of tumour, bony destruction, or displacement. Anterior bowing of the posterior wall of maxillary sinus (antral sign or Holman-Miller sign) is pathgnomic of JNA. MRI complementory to CT when soft tissue extensions are present intracranially, in infratemporal foss or in orbit. Carotid angiography :- shows extension of tumor, its vascularity and feeding vessels. Biopsy should be avoided as it can cause severe bleeding.